Which of all following is not a Goldman revised cardiac risk index
1. History of ischemic heart disease
2. History of preoperative treatment with insulin
3. History of preoperative serum creatinine >2.0 mg/dL
4. Age > 80 yrs

Correct answer: 4. Age > 80 yrs

Explanation: . In 1977 Goldman, et al., developed the first cardiac risk index, which included nine variables associated with an increased risk of perioperative cardiac complications. This became known as the Original Cardiac Risk Index (or alternatively the Goldman Index). Revised Cardiac Risk Index. ...1999